SEPS is a procedure used for :
1. Veins
2. Arteries
3. Lymphatics
4. AV fistula

Correct answer: 1. Veins

Explanation: Subfascial Endoscopic Perforator Vein Surgery (SEPS) SEPS is a new endoscopic technique for the management of chronic venous insufficiency due to incompetent perforator veins. SEPS involves insertion of a rigid endoscope through the skin and superficial fascia to a plane above the muscle, such that perforator veins are visible as they exit the muscles. These perforator veins are dissected free from surrounding tissue and closed with the help of metal clips. Ref: Sabiston 20th edition Pgno: 1809